Which of the following is effective against pseudomonas and is used in bums patients?
1. Silver sulphadiazine
2. Silver suplhazine
3. Sulfamethoxazole
4. Sulfadoxne

Correct answer: 1. Silver sulphadiazine

Explanation: ANSWER: (A) Silver SulphadiazineANSWER: KDT 6th ed p. 643Both mafenide and silver sulfadiazine have antibacterial properties against pseudomonas and are used in management of burns.